A 40 year old male patient came for routine dental checkup. Patient gives history of root canal treatment with 17 and 27 done using excimer. This type of lasers are:
1. Special infrared lasers​
2. Special ultraviolet lasers​
3. Special visible light lasers
4. Special blue light lasers​  ​

Correct answer: 2. Special ultraviolet lasers​

Explanation: The lasers range from long wavelengths (infrared), through visible wavelengths, to short wavelengths​ (ultraviolet). Excimers are special ultraviolet lasers.​